Germ cells in the ovary develop from-
1. Coelomic endoderm
2. Trophoblastic layer
3. Yolk sac
4. Surface ectoderm

Correct answer: 3. Yolk sac